Point B in treatment of Ca Cervix by radiotherapy corresponds to:
1. Ohturator nodes
2. Mackenrodts ligament
3. Ischia] tuberosity
4. Round ligament

Correct answer: 1. Ohturator nodes

Explanation: Ans. Ohturator nodes